Which of the following enzymes unwind DNA?
1. Ligase
2. DNA primase
3. Helicase
4. DNA polymerase

Correct answer: 3. Helicase

Explanation: Helicases are enzymes that bind and may even remodel nucleic acid or nucleic acid-protein complexes. There are DNA and RNA helicases. DNA helicases are essential during DNA replication because they separate double-stranded DNA into single strands allowing each strand to be copied Ref-Sathyanarayana 4/e p401